Iron and folic acid supplementation forms -
1. Health promotion
2. Specific protection
3. Primordial prevention
4. Primary prevention

Correct answer: 2. Specific protection

Explanation: Ans. is 'b' i.e., Specific protection o Option 'c' is also correct because specific protection is a type of primary prevention. o But we will have to choose one option for All India enterance examination. o Option 'b' (specific protection) is the best answer (unlike previous question where more than one option can be correct for PGI).